All of following are anti platelet EXCEPT:
1. Aspirin
2. Clopidogrel
3. Abciximab
4. Tranexamic acid

Correct answer: 4. Tranexamic acid

Explanation: Ref: KDT 6th ed. pg. 608* Antiplatelet drugs interfere with platelet function and are useful in prophylaxis of thromboembolic disorders.* Platelets express several glycoprotein (GP) receptors on their surface like GP IIa/IIIb.* These receptors are not exposed normally, but once exposed due to some injury they make the platelets sticky.* Upon injury thromboxane A2 (TXA2) and ADP produced, which expose the sticky receptors (GP IIa/ IIIb) that crosslinks the platelets, inducing aggregation.* Prostacyclin (PGI2) synthesized in the intima of blood vessel is an inhibitor of TXA2. Normally, a balance between PGI2 and TXA2 is required to control thrombus formation.Antiplatelet drugs and their target of inhibitionAntiplatelet drugsTarget of inhibitionAspirinInhibit TXA2Clopidogrel and TiclodipineInhibit ADP irreversibly by binding with P2Y12 receptorCangrelor, TicagrelorInhibit ADP reversiblyAbciximabTirofibanEptifibatideInhibit GP IIb/IIIaFibrin is associated with clotting. Agents which lyse this fibrin is known as Fibrinolytics.Overdose of fibrinolytic agents causes results in excessive intravascular fibrinolysis resulting in bleeding.Tranexamic acid is a specific antidote for fibrinolytic agents. Antifibrinolytic drugs are:* Epsilon Amino Caproic acid (EACA)* Tranexamic acid